Laparoscopy is contraindicated in
1. Ectopic pregnancy
2. PID
3. Endometriosis
4. Peritonitis

Correct answer: 4. Peritonitis

Explanation: Contraindications of Laparoscopy Severe cardiopulmonary disease Patient hemodynamically unstable Generalised peritonitis Significant hemoperitoneum Extensive peritoneal adhesions Large pelvic tumor Pregnancy >16 weeks Advanced malignancy On anticoagulation therapy D.C.DUTTA'S TEXTBOOK OF GYNECOLOGY,Pg no:615,6th edition